Which cervical veebra that does not have a body or spinous process?
1. C1
2. C2
3. C3
4. C4

Correct answer: 1. C1

Explanation: First cervical veebra is ring-shaped. It has neither a body nor a spine.Features of typical cervical, thoracic and lumbar veebra are given belowFeaturesCervical veebraThoracic veebraLumbar veebraBodySmall and broad from side to sideMedium size and hea-shapedLarge and kidney-shapedVeebral foramenLarge than the body and triangularSmall and circularTriangularSpinous processSmall and bifidLong and directed downwardsSho, flat and projected backwardInferior aicular facetDirected forward and downwardsDirected forwards, slightly downwards and mediallyDirected laterallyTransverse processHave foramen transversariumHas costal facets Long and slender